Bleeding from the umbilicus in an adult female during menstruation is suggestive of -
1. Bleeding diathesis
2. Vicarious menstruation
3. Persistent urachus
4. Purpura

Correct answer: 2. Vicarious menstruation

Explanation: Ans. is 'b' i.e., Vicarious menstruation Vicarious menstruation: Vicarious meaning - assumption of the function of one organ by another; Vicarious menstruation means - blood loss during menstruation at some site other than the as hemorrhage from the nose vagina the breast or eyes or the umbilicus.